Which of the following is true about 'Small for gestational age' baby?
1. Birth weight is < 10th percentile of expected according to gestational age
2. Birth weight is < 2000 g
3. Length of the baby is < 50th percentile of expected
4. Length,weight and head circumference of the baby are < 50th percentile of expected

Correct answer: 1. Birth weight is < 10th percentile of expected according to gestational age

Explanation: A neonate whose weight falls between the 10th and 90th percentile is considered as appropriate for gestational age (AGA); if the weight falls below 10th percentile, the neonate is classified as small for gestational age (SGA); the neonate is classified as large for gestational age (LGA), if the weight falls at 90th percentile or above for gestational age. The SGA babies have grown suboptimally during intrauterine period (intrauterine growth restriction, IUGR). These babies have thin slender look, loose folds of wrinkled skin, and monkey like fades.